Tinel's sign used in
1. To asses spinal shock
2. To asses the severity of damage of nerve
3. To asses regeneration of nerve
4. To classify the type of nerve injury

Correct answer: 3. To asses regeneration of nerve

Explanation: Tinel's sign is elicited by tapping on the nerve among its course from distal to proximal direction, tingling sensation is felt at the sprouting nerve ends.